Carcinoma penis is rarest among -
1. Americans
2. Indians
3. Swedes
4. Jews

Correct answer: 4. Jews

Explanation: Carcinoma of penis

Penile cancer is a malignant growth found on the skin or in the tissue of the penis.
Circumcision confers protection hence, this cancer is extremely rare among Jews and Muslims and is correspondingly more common in populations in which circumcision is not routinely practised.

Predisposing factors : -
Smoking
Infection with HPV-16 and HPV-18
Presence of pre-cancerous lesion → Bowen disease.